Prenatal diagnosis of Hemophilia is best done by -
1. PCR
2. Linkage analysis
3. Cytometry
4. Microarray

Correct answer: 1. PCR

Explanation: Prenatal diagnosis of hemophilia is best done by direct mutation analysis using PCR technique. And it is now the method of choice.